Golgi apparatus can be marked by
1. Peroxidase
2. Galactosidase
3. Galactosyl transferase
4. Catalase

Correct answer: 3. Galactosyl transferase

Explanation: Markers of Plasma membrane - 5 '-Nucleotidase, Adenylyl cyclase, Na+ K+ATPase
Marker of Endoplasmic reticulum- Glucose-6-phosphatase
Markers of Golgi apparatus- GlcNAc transferase 

Golgi mannosidase 
Galactosyltransferase, Sialyltransferase

Marker of Mitochondria- ATP synthase, Glutamate dehydrogenase
Marker of Peroxisome- Catalase
Marker of Cytosol- LDH